Skin blood flow is decreased by ?
1. Dopamine
2. Isoprenaline
3. Noradrenaline
4. Acetylcholine

Correct answer: 3. Noradrenaline

Explanation: Ans. is 'c' i.e., LysosomeAutophagy is the process by which cells sequester and degrade their own cytoplasmic organelles.During the process, autophagic vacuole is formed, which is a bilayer vacule containing unnecessary or dysfunctional organelle.Autophagic vacule fuses with lysosome to form autophagosome (autophagolysosome).Then, hydrolytic enzymes of lysosome degrade the organelle of autophagic vacuole.